Gait in Parkinsonism?
1. Astasia-abasia
2. Ataxic
3. Waddling
4. Festinating

Correct answer: 4. Festinating

Explanation: Ans. d (Festinating gait). (Ref. Harrison, Principles of Medicine, 18th/Ch.24, 371)FESTINATING GAIT - pace acclerates as upper body gradually leans further ahead of feet. GaitCondition1Lurching gaitInferior gluteal nerve palsy2Festinating gaitParkinsonism3Hemiparetic gaitSpastic hemiparesis4Paraparetic gaitScissoring gait5Steepage gateFoot drop (Ls radiculopathy, sciatica, peroneal neuropathy)6Waddling gaitMyopathy, muscle dystrophy, rarely MG7Apraxic gaitBilateral frontal lobe disease8Choreoathetotic gaitChoreoathetosis9Cerebellar ataxic gaitCerebellar disease10Sensory ataxic gaitRomberg sign11Vestibular gaitPatient tends to fail on one side12Astesia abasiaHysterical